Which of the following is false about colchicine?
1. Used in acute gout
2. It is not an anti-inflammatory agent
3. It is antimitotic and causes telophase arrest
4. Can cause diarrohea

Correct answer: 3. It is antimitotic and causes telophase arrest

Explanation: Ans. is 'c' i.e., It is antimitotic and causes telophase arrest Colchicine It is used in acute gout. It is neither analgesic nor antinflammatory, but it specifically suppresses the gouty inflammation. Mechanisms of action Colchicine inhibits the release of glycoprotein (glycoprotein aggravates inflammation in gout). By binding to fibrillar protein tubulin, it inhibits granulocyte migration into the inflamed joints. Other actions (not related to gout) Antimitotic Causes metaphase arrest by binding to microtubules of mitotic spindle. Increases gut motility through neural mechanisms. Toxicity Nausea, vomiting, watery or bloody diarrhea, and abdominal pain are the most common side effects. Accumulation of the drug in intestine and inhibition of mitosis in its rapid turnover mucosa is responsible for the toxicity. In overdose, colchicine produces kidney damage, CNS depression, intestinal bleeding; death is due to muscular paralysis and respiratory failue. Chronic therapy with colchicine is not recommended because it causes aplastic anemia, agranulocytosis myopathy and loss of hair.